In a population having mid-year population of 1000, there are 150 children less than 15 years and 50 elderly more than 65 years of age. Calculate dependency ratio ?
1. 0.2
2. 200
3. 0.25
4. 250

Correct answer: 3. 0.25

Explanation: Dependency ratio = (Proportion of ppl in < 15yrs of age + >65yrs of age) / Proportion of ppl in 15-64 yrs of age = 150+50/800 = 0.25